A 10-month-old child can do all the following EXCEPT
1. Speaks Bisyllables (Like dada, mama)
2. Walks unsupported
3. Creep and crawl
4. Pincer grasp

Correct answer: 2. Walks unsupported

Explanation: Ans. b (Walks unsupported) (Ref. Nelson Pediatrics 17th ed. 34; and OP Ghai Paediatrics 6th ed., p 48)DEVELOPMENTAL MILESTONESApproximate AgeMotor MilestoneCognitive/Social MilestoneInfant 3 mo4-5 mo7-9 mo12-14 mo15 moHolds head up, Moro reflex disappearsRolls front to back, sits when proppedSits alone, crawlsUpgoing Babinski disappearsWalksSocial smileRecognizes peopleStranger anxiety, orients to voiceFew words, separation anxietyToddler 12-24 mo18-24 mo24-48 mo24-36 moClimbs stairs, stacks 3 blocksStacks 6 blocksParallel playCore gender identityObject permanenceRapprochementPreschool 30-36 mo3 yrs4 yrsStacks 9 blocksRides tricycle, copies line or circle drawingSimple drawings (stick figure), hops on 1 footToilet trainingGroup playCooperative play, imaginary friendsSchool age 6-11 yrsReads; understands deathDevelopment of conscience(superego), same-sex friends, identification with same-sex parent.Milestones summaryAgeMotorAdaptiveLanguageSocial10 moStands alonePlay 'peek a boo'Pick up a pellet with thumb and index finger.Bizarre words-15 moWalks aloneMakes line with crayonJargonIndicates desires/needs by pointing18 moWalks up stairs with 1 hand heldImitates scribblingIdentifies>/=1 body partsFeeds self24 moRuns wellCircular scribblingPuts 3 words togetherHandlespoon well30 moGoes up stairs alternating feetMake horizontal vertical strokeRefers to self by pronounTHelps to put things away36 moRides tricycle, stands on 1 foot momentarilyTower of 10 cubes, imitates cross.Known age & sex dressingWash hands, Helps in48 moHops on one foot, climbs wellNames longer of 2 lines copies cross & squareTells a storyRole playing, goes to toilet alone